Ova that floats in saturated saline are of:
1. Unfertilized eggs of Ascaris lumbricoides
2. T. saginata
3. H. Nana
4. NRT one of the above

Correct answer: 3. H. Nana

Explanation: H. Nana